Reactive bradycardia with fever-
1. Typhoid
2. Malaria
3. Tuberculosis
4. Brucellosis

Correct answer: 1. Typhoid

Explanation: Normally , for every 1 degree celsius rise in temperature, pulse should increase by 10 beats per minutes. In typhoid, the pulse is often slower than would be expected from the height of the temperature ,i.e; a relative bradycardia. Reference Harrison20th edition pg 876